Which of the following is wrong about Afrezza?
1. Inhaled form of insulin
2. Should be avoided in smokers
3. Adverse effects includes include cough and throat irritation
4. Longer duration of action than injected insulin analogues

Correct answer: 4. Longer duration of action than injected insulin analogues

Explanation: Afrezza: Inhaled insulin form Should be used in combination with a long-acting insulin. Has a more rapid onset and shorter duration than injected insulin analogues. Adverse events include cough and throat irritation. It should not be used in individuals who smoke and COPD pts.